Which of the following is the most likely diagnosis in a 27 year old obese woman presenting with Oligomenorrhea, infertility and hirsutism?
1. Polycystic ovaries
2. Endometriosis
3. Pelvic inflammatory disease
4. Turner's syndrome

Correct answer: 1. Polycystic ovaries

Explanation: A young woman presenting in the third decade with obesity, oligomenorrhea, infertility and hirsutism leaves no doubt for the diagnosis of PCOS.
According to Rotterdam criteria → PCOD is diagnosed if any 2 of the following criteria are being fulfilled:
i. Ovulatory dysfunction such as oligomernorhea or hyperandrogenism.
ii. Clinical or biochemical evidence of hyperandrogenism.
iii. USG criteria
Since this female, has oligomenorrhea and hirsutism, so 2 of the criteria are being fulfilled.